Drugs implicated in development of heart block include which of the following?
1. Beta blockers
2. Lithium
3. Adenosine
4. All the above

Correct answer: 4. All the above

Explanation: Ans. is 'd' i.e., All the above * From the following table it is clear that all the given drugs are implicated in the development of Atrioventricular heart block.Drugs causing AV blockBeta blockers AdnosineClacium channel blockers Antiarrhythmics (class I and III)Digitalis Lithium